Semiessential amino acid is -
1. Histidine
2. Alanine
3. Leucine
4. Lysine

Correct answer: 1. Histidine

Explanation: Ans. is 'a' i.e., Histidine Arginine and histidine are semi - essential amino acids.